What is the number of layers in greater omentum?
1. 1
2. 2
3. 3
4. 4

Correct answer: 4. 4

Explanation: The greater omentum is folded back on itself and is therefore made up of four layers of closely applied visceral peritoneum, which are separated by variable amounts of adipose tissue. Ref: Gray's anatomy 40th edition, Chapter 69.